NOT a feature of Neurofibromatosis-1:
1. Ash leaf spots
2. Family history
3. Optic glioma
4. Axillary freckle

Correct answer: 1. Ash leaf spots

Explanation: Ans. A i.e. Ash leaf spots Dermatological conditions and important findings Tuberous sclerosis: - Ash leaf spot, - Adenoma sebaceum - Shagreen patches Urticaria pigmentosa: Darrier's sign Amyloidosis: Pinch purpura Lichen planus: - Wickham's striae, - Civatte bodies Atopic dermatitis: Dennie Morgan folds Pityriasis rosacea: - Herald patch, Mother patch - Annular collratte of scales